Which of the following is a rave drug:
1. Cocaine
2. Methamphetamine
3. Heroin
4. Cannabis

Correct answer: 2. Methamphetamine

Explanation: Rave drug includes LSD, amphetamine, gamma hydroxy butyric acid and ketamine